Consider the following conditions- 
1. Urinary flow rate less than 10cc/second 
2. Residual volume or urine > 100cc 
3. Serum level of prostatic specific antigen > 10 mmol/litre 
4. Trabeculated urinary bladder 
Which of the above are indications of TRUP for BHP
1. 1, 2 and 3
2. 2, 3 and 4
3. 1, 2 and 4
4. 1, 3 and 4

Correct answer: 3. 1, 2 and 4